All of the following are true about Pseudocyesis except-
1. Abdominal enlargement
2. Patient is pregnant
3. Labour pains at EDD
4. Amenorrhea

Correct answer: 2. Patient is pregnant

Explanation: Ans. is 'b' i.e., Patient is pregnant Pseudocyesis o Disorder with multiple somatoform symptoms that do not meet the criteria for any specific somatoform disorder are referred to as Somatoform disorders not otherwise specified. Pseudocyesis comes under this category, o The false belief of being pregnant that is associated with objective signs of pregnancy, but without any laboratory evidence of positive pregnancy (negative tests for pregnancy). The objective signs may include Abdominal enlargement (although the umbilicus does not become everted), Reduced menstrual flow, Amenorrhea. Subjective sensation of fetal movement Nausea Breast engorgement and secretions Labour pains at the expected date of delivery vii) Endocrine changes may be present, but the syndrome cannot be explained by a general medical condition that causes endocrine changes (e.g., a hormone-secreting tumor).